Erythematous lesions seen in axilla with coral red fluorescence in woods lamp is:
1. Tinea
2. Lichen planus
3. Erythrasma
4. Vitiligo

Correct answer: 3. Erythrasma

Explanation: Ans: c (Erythrasma) Ref: Pavithrans Textbook 56Erythrasma is a chronic infection of skin caused by Corynebacterium minutissimum and affects the intertrigenous areas like the axillae, toe, webs and groin.It is asymptomatic in nature and absence of central clearing helps to differentiate it from tinea.Extensive lesions may occur in patients with diabetes mellitus.Underwoods light the affected area shows a coral red fluorescence. This is due to the presence of porphyrins produced by the coryne bacterium minutissimum.Wood's lamp lightMade up of nickel oxide and silica. It generates 360nm UV-A light.* Corynebacterium minutissimum-coral red colour.* Pseudomonas, psoriasis-pale blue.* Tuberous sclerosis-ash leaf spots(blue white)* Vitiligo-chalky white.* Porphyria cutanea tarda-pinkish red (urine)* Tinea versicolor-golden fluorescence.* Tinea capitis-yellow fluorescence* Sq cell ca-red fluorescence.* Albinism&leprosy-blue white